Pheochromocytoma does not arise from which of the following -
1. Adrenal medulla
2. Adrenal cortex
3. Extra adrenal sites
4. Sympathetic chain

Correct answer: 2. Adrenal cortex

Explanation: Pheochromocytoma

Pheochromocytoma is a neoplasm of chromaffin cells which usually arise from the adrenal medulla.
About 10% of these tumors arise at extra-adrenal sites, where they are called paraganglioma:-


Paravertebral paraganglia (organs of zuckerkandl ) → Have sympathetic connection.
Carotid bodies (chemodectomas).